Characteristic lesion in scabies is
1. Burrows
2. Vesicle
3. Papule
4. Pustule

Correct answer: 1. Burrows

Explanation: Burrows are pathognomic of scabies. It is a serpentine thread like greyish dark line-tunnel in the stratum corneum that host a a parasite. most commonly seen over genitalia of males and areola of females iadvl textbook of dermatology page 459